In Post radical neck dissection shoulder syndrome, all are seen except
1. Restricted range of movement
2. Pain
3. Shoulder drooping
4. Normal electromyographic finding

Correct answer: 4. Normal electromyographic finding

Explanation: The classic operation involves resection of the cervical lymphatics and lymph nodes and those structures closely associated: the internal jugular vein, the accessory nerve, the submandibular gland and the sternocleidomastoid muscle. These structures are all removed en blocand in continuity with the primary disease if possible. The main disability that follows the operation is weakness and drooping of the shoulder due to paralysis of the trapezius muscle as a consequence of excision of the accessory nerve.So electromyography will not be normal. Bailey and Love ,25th,733.